Highly Cardiotoxic is:
1. Bleomycin
2. Doxorubicin
3. MTX
4. Mitomycin

Correct answer: 2. Doxorubicin

Explanation: Doxorubicin